HBV is associated with all of the following except -
1. Hepatic cancer
2. Chronic hepatitis
3. Hepatic adenoma
4. Cirrhosis

Correct answer: 3. Hepatic adenoma